Bence Jones proteins are best described as-
1. u chains
2. g chains
3. Kappa & Lambda chains
4. Fibrin split products

Correct answer: 3. Kappa & Lambda chains

Explanation: Bence Jones protein is a monoclonal globulin protein or immunoglobulin light chain found in the urine, with a molecular weight of 22-24 kDa. Detection of Bence Jones protein may be suggestive of multiple myeloma or Waldenstrom's macroglobulinemia. Bence jones proteins are light chains of immunoglobulins so may occur as Lambda or Kappa forms, but in any patient the chain is either Kappa or Lambda, never both. Fibrin split products are seen in a case of thrombolysis or DVT. m and U are the types of heavy chain.